Seagull sign is seen in -
1. Chronic pancreatitis
2. Gall stone
3. Appendicitis
4. Acute cholecystitis

Correct answer: 2. Gall stone

Explanation: (B) Gall Stone (1106-Baily and Love 26th) (862 S. Das 7th)* Mercedes Benz Sign (Seagull Sign): When gas in the gall-stone, a characterstic shape will be seen on x- ray.The Seagull Sign:* In patients with severe aortic stenosis and heavily calcified valves the associates harsh loud crescendo- decrescendo murmur often takes on a high pitched musical quality, initiating the cooling sound of a seagull. We have now found that there is 'seagull sign' to accompany this 'seagull murmur'.* Murphy's sign - During deep palpation of the right upper quadrant the patient is asked to take deep breath in and out. Patient complains of acute pain during deep inspiration with inspiratory arrest when tender inflammed gall bladder comes down and touching the palpating fingers.* Boa's sign is diagnostic of acute cholecystitis. This is an area of hyperaesthesia between the 9th and 11th ribs posteriorly on the right side.EFFECTS AND COMPLICATION OF GALL STONES1) In the gall bladder2) In the common bilei) Asymptomatic gall stonesii) Hydrops of the gall bladderiii) Flatulent dyspepsiaiv) Gall stone colicv) Acute obstructive cholecystitis which may lead to -a) Mucoceleb) Empyemac) Gangrened) Perforation and fistula formatione) Chronic cholecystitisf) Carcinomai) Obstructive jaundiceii) Liver failureiii) Cholangitisiv) Acute or recurrent pancreatitis3) In the pancreas -4) In the intestine -i) Acute pancreatitisii) Acute relapsing pancreatitisiii) Chronic pancreatitisGall stone ileusSaint's Triad - GALL STONE. HIATUS HERNIA AND DIVERTICULOSIS OF THE COLON.* MEDICAL TREATMENT OF GALL BLADDER STONE IN***i) Cholesterol stoneii) Functioning of the gall bladderiii) Radiolucent stone <10 mm in diameter.* Incidence of gall stone formation is maximum in Ileal resection*** Factors associated with gall bladder stone formation -i) Impaired GB function - Emptying, Absorption, Excretionii) Supersaturated bile - Age, Sex, Genetics, Obesity, Diet.iii) Cholesterol nucleating factors - Mucus, Glycoprotein and Infection.iv) Absorption/enterhepatic circulation of bile - Deoxycholate, Bowel transit time, Faecal enteric flora Ileal resection, Cholestyramine***.